Most common type of radiation caries:
1. Superficial lesions involving all tooth surfaces
2. Cervical lesion
3. Dark pigmentation of the entire crown
4. All of the above

Correct answer: 1. Superficial lesions involving all tooth surfaces

Explanation: All the given option are types of radiation-induced caries.
Key Point:
Most common type–Superﬁcial lesions involving all tooth surfaces.